Oral vancomycin can be used for treatment of :
1. Hepatic encephalopathy
2. Pseudomembranous colitis
3. Staphylococcal food poisoning
4. None of the above

Correct answer: 2. Pseudomembranous colitis